Endoscopy tube sterilized by ?
1. 2 % glutaraldehyde
2. Na hypochlorite
3. Ethylene dioxide
4. Ionizing radiation

Correct answer: 1. 2 % glutaraldehyde

Explanation: Ans. is 'a' i.e., 2 % glutaraldehyde